Dose of Carbetocin for post partum hemorrhage
1. 100 microgram intramuscular
2. 50 microorgam Inravenous
3. 150 microgram intravenous
4. 200 microgram intramuscular

Correct answer: 1. 100 microgram intramuscular

Explanation: Refer Goodman Gilman 12th/1851 Carbetocin is along acting Oxytocin that us useful to prevent post party hemorrhage given intramuscularly or intravenously in a dose of 100 microorgam